Not a cause for pseudo-proptosis in the following options
1. Hypermetropia
2. Lagophthalmos
3. Lid retraction
4. Enophthalmos of fellow eye

Correct answer: 1. Hypermetropia

Explanation: Causes of pseudoproptosis *Myopia *Lagophthalmos *Lid retraction *Enophthalmos of fellow eye * Stimulation of Muller's muscle by cocaine * Shallow orbits (as in craniofacial dysostosis.)